Declaration of 'Oslo' is related to
1. Torture
2. Capital punishment
3. Therapeutic abortion
4. Ethical principles for medical research

Correct answer: 3. Therapeutic abortion

Explanation: Declaration of Oslo: therapeutic abortion Declaration of Helsinki: ethical principles for medical research Declaration of Tokyo: torture, degradation orcruel treatment of prisoners. Declaration of Geneva:revision of the Hippocrates Oath Declaration of Lisbon: rights of the patient Ref - Krishan Vij textbook of forensic medicine and toxicology 5e pg 347